Which of the following is not a complication of a malunited Colles fracture:
1. Rupture of flexor pollicis longus
2. Carpal instability
3. Carpal tunnel syndrome
4. Sudeck's osteodystrophy

Correct answer: 1. Rupture of flexor pollicis longus

Explanation: Rupture of extensor pollicis longus is a complication of colles fracture NOT Flexor pollicis longus. COMPLICATIONS:- Extensor pollicis longus rupture Loss of reduction and secondary deformity Median nerve compression Distal radioulnar joint injury Extension of Colles fracture into the RU joint has a worse prognosis.